Goodell's sign means:
1. Pulsation in the lateral vaginal fornix
2. Bluish color change in the vagina
3. Softening of the cervix from below upward
4. On bimanual palpation, the fingers can be approximated, as if nothing is in between

Correct answer: 3. Softening of the cervix from below upward

Explanation: Ans. Softening of the cervix from below upward